Which one of the following enzyme is used in the treatment of acute myocardial infarction
1. Urokinase
2. Papain
3. Asparginase
4. Serratiopeptidase

Correct answer: 1. Urokinase

Explanation: Urokinase is a plasminogen activator. Helps in fibrinolysis. Alteplase, reteplase, and tenecteplase made from genetic recombination are more commonly used now. Ref : Biochemistry by U. Satyanarayana 3rd edition Pgno : 107-112